Lymphogranuloma venereum is caused by
1. Chlamydia trachomatis
2. Calymmatobacterium granulomatis
3. Haemophilus ducreyi
4. Treponema pallidum

Correct answer: 1. Chlamydia trachomatis